Term cafe coronary was coined by ?
1. Roger Haugen
2. J. Moon
3. Neil Markson
4. M. Hoppefield

Correct answer: 1. Roger Haugen

Explanation: Ans. is 'a' i.e., Roger Haugen A popular term 'cafe coronary' was coined by Dr. Roger Haugen, Medical Examiner of Broward County, Florida for such impaction of food in the respiratory passage". -- Krishan Vij